The maximum rate of eruption, as the tooth cusps reach the surface epithelium is around ___________ μm/day.
1. 100
2. 75
3. 50
4. 25

Correct answer: 2. 75